Restoration of angle fracture of anterior teeth done by
1. Amalgam
2. Composite resin
3. GIC
4. All of the above

Correct answer: 2. Composite resin